Oncogenic virus is:
1. CMV
2. VZV
3. Polio virus
4. EBV

Correct answer: 4. EBV

Explanation: Ans. is 'd' i.e., EBV (Ref: Ananthanarayan, 9th/e, p. 565 and 8th/e, p. 563)* EBV has been implicated in causation of Nasopharyngeal carcinoma and Burkitt's lymphoma.